The following drug can be given safe in pregnancy:
1. Propylthiouracil
2. MTX
3. Warfarin
4. Tetracycline

Correct answer: 1. Propylthiouracil

Explanation: Ans. is a, i.e. PropylthiouracilRef Dutta Obs. 7/e, p 288' KDT 6/e, p 250Propylthiouracil is used for medical management of hyperthyroidism during pregnancy. As far as other 3 options are concerned."Tetracycline and doxycycline cannot be given to pregnant women or to children <8 years of age." --Harrison 17/e, p 1291Tetracyclines should not be used in pregnant women and children <8 years because of the risk of dental discoloration/damage and inhibition of growth. --Dutta Obs. 7/e, p 513, KDT 6/e, p 714"Anticancer drugs are contraindicated during pregnancy". --Dutta Obs, 7/e, p 512(Methothexate)"Warfarin can lead to contradis syndrome (skeletal and facial anomalies), optic atrophy, microcephaly and chondrodysplasia punctata." --Dutta Obs, 7/e, p 510